Blunt cell processes seen on the developing ameloblasts are called as :
1. Tomes fibres
2. Tomes layer
3. Tomes processes
4. Odontoblastic processes

Correct answer: 3. Tomes processes